Heller myotomy is used in:
1. Esophageal atresia
2. Achalasia
3. GERD
4. None of the above

Correct answer: 2. Achalasia

Explanation: A laparoscopic Heller myotomy and partial fundoplication is the procedure of choice for esophageal achalasia. The operation consists of a controlled division of the muscle fibers (ie, a myotomy) of the lower esophagus (5 cm) and proximal stomach (2 cm), followed by a partial fundoplication to prevent reflux.